Tip of tongue drains into -
1. Occipital lymph node
2. Submental lymph node
3. Deep cervical lymph nodes
4. Tonsillar lymph nodes

Correct answer: 2. Submental lymph node

Explanation: Tip of the tongue drains into submental nodes, anterior 2/3 drains into submandibular nodes, and posterior 1/3 into jugulodigastric nodes.
Finally, all lymphatics drain into juguloomohyoid nodes, also known as lymph nodes of the tongue.